Chicken wire configuration is arrangement of
1. Type 1 collagen fibers
2. Type 2 collagen fibers
3. Type 3 collagen fibers
4. Type 4 collagen fibers

Correct answer: 4. Type 4 collagen fibers